Doxylamine used in management of nausea and vomiting is marketed with which vitamin ?
1. Thiamine
2. Riboflavin
3. Niacin
4. Pyridoxine

Correct answer: 4. Pyridoxine

Explanation: Ans. is'd'i.e., PyridoxineDoxylamineSedative H1 antihistamine with prominent anticholinergic activity. Marketed in combination with pyridoxine, it is specifically promoted in India for 'morning sickness' (vomiting of early pregnancy), although such use is not made in the UK and many other countries.